What disappears first in post mortem rigidity -
1. Eyelids
2. Neck
3. Lower limbs
4. Upper limbs

Correct answer: 1. Eyelids

Explanation: Rigor mortis passes off in same order in which it has appeared. Thus upper eyelid is the first voluntary muscles, from which it disappears.